HLA DRw 52 is associated with -
1. SLE
2. Scleroderma
3. Sjogren
4. Behcet

Correct answer: 3. Sjogren

Explanation: Ans. is 'c' i.e., Sjogren syndrome o The frequency of HLA-DR52 in patients with primary Siogren syndrome is estimated to be 87%. but it is also significantly increased in secondary Sibgren syndrome that occurs with rheumatoid arthritis or systemic lupus erythematosus.o HLA B5/HLA B5I is related to Behcet disease.